All of the following drugs are reversible inhibitors of cyclo–oxygenase except :
1. Diclofenac
2. Ibuprofen
3. Aspirin
4. Indomethacin

Correct answer: 3. Aspirin